What is the preferred treatment option for 1.5 cm stone located in lower third of ureter?
1. ESWL
2. PCNL
3. URS
4. Ureterolithotomy

Correct answer: 3. URS

Explanation: Management of Ureteric Stone- Depends on location of stone* Stone in upper and middle 1/3rd of ureter- Size of stone up to 1cm - ESWL > URS- Size of stone > 1cm - URS* Stone in lower 1/3rd of ureter - URS (No use of shockwaves in this area)